First change to occur in the distal segment of cut nerve:
1. Myelin degeneration
2. Axonal degeneration
3. Mitosis of Schwann cell
4. Sprouting

Correct answer: 2. Axonal degeneration

Explanation: After axotomy, the nerve terminals of the injured neuron begin to degenerate (first).